Intracranial calcification is characteristic of
1. Sturge-Weber syndrome
2. Steven-Johnson syndrome
3. Papillon-League syndrome
4. Hallerman-Stefi syndrome

Correct answer: 1. Sturge-Weber syndrome

Explanation: Sturge-Weber syndrome Characterized by facial nevus flammeus, contralateral focal seizures, calcification of the cortex and subcortical structures and glaucoma on the same side as the skin lesions. Vascular anomaly of the skin, choroid of the eye and ipsilateral leptomeninges. Facial port-wine stain is distributed in the region of the Trigeminal nerve. These patients may develop glaucoma and seizures. 'Rail-road' calcification in the occipital and temporal regions is characteristic in skull radiographs. MRI is the most sensitive technique for demonstrating cerebral lesions.